Globi is seen in ___________ leprosy
1. leprosy
2. Tuberculoid
3. Lepromatous
4. Border line

Correct answer: 3. Lepromatous